Albumin appearing in urine will be due to-
1. It is of small size
2. Increase in GFR
3. Loss of charge in glomerulus
4. None of the above

Correct answer: 3. Loss of charge in glomerulus

Explanation: The molecular diameter of the plasma protein albumin is only about 6 nanometers, whereas the pores of the glomerular membrane are thought to be about 8 nanometers (80 angstroms). Albumin is restricted from filtration, however, because of its negative charge and the electrostatic repulsion exerted by negative charges of the glomerular capillary wall proteoglycans.